A person returns to Delhi from Bangladesh after 2 days and has diarrhoea. Stool examination shows RBC's in the stool. The likely organism is
1. Enteropathogenic E. Coli
2. Enterotoxigenic E. Coli.
3. Salmonella typhi
4. Shigella dysenteriae

Correct answer: 4. Shigella dysenteriae

Explanation: Shigellae cause bacillary dysentery. Infection occurs by ingestion.The minimum infective dose is low-as few as 10-100 bacilli are capable of initiating the disease. Short incubation period. Clinical features - Frequent passage of loose, scanty faeces containing blood and mucus along with abdominal cramps and tenesmus. Ref: Ananthanarayan and Paniker's Textbook of Microbiology, 9th edition; pg no: 286, 287